In hyperbaric oxygenation the maximum allowed pressure of O2 is
1. 3 atm
2. 1 atm
3. 5 atm
4. 9 atm

Correct answer: 1. 3 atm

Explanation: At 3 atm, an arterial oxygenation of nearly 2200 mm Hg may be achieved .